Hot air oven can be used to sterilize all EXCEPT:
1. Scalpels
2. Glassware
3. Plastic Syringes
4. Dressings

Correct answer: 3. Plastic Syringes

Explanation: Ans. (c) Plastic SyringesRef: K. Park 23rd ed. /127-28HOTAIR OVEN* Holding period of 160 C x 1 hour* Used for forceps, glasswares, scissors, scalpels, glass syringes, swabs and few pharmaceutical products like liquid paraffin, fats, grease.